Birth and death registration must be done within:-
1. 7 days & 14 days
2. 14 days & 7 days
3. 21 days each
4. 14 days & 28 days

Correct answer: 3. 21 days each

Explanation: According to 'The registration of births & Deaths act 1969' both the births and deaths are to be registered with 21 days each. Marriages within 30 days/ 60 days/ 90 days. Child born to NRI couple abroad, birth registration is done within 60days of arrival. Birth registration is responsibility of hospital.